Number of teeth present in the oral cavity at the age between 8-9 years:
1. 12 teeth.
2. 20 teeth.
3. 24 teeth.
4. 28 teeth.

Correct answer: 3. 24 teeth.

Explanation: 24 teeth are present that is 12 primary and12 permanent teeth.